Crocodile tears are seen in:
1. Frey's Syndrome
2. Conjunctivitis
3. Lacrimal tumour
4. Abnormal VII nerve regeneration

Correct answer: 4. Abnormal VII nerve regeneration

Explanation: Ans. (d) Abnormal VII nerve regenerationRef P L Dhingra p. 103* Crocodile tears are seen in Abnormal regeneration of 7th nerve* It is one of the complication following facial nerve palsy. It is characterized by unilateral lacrimation with mastication and is due to faulty regeneration of parasympathetic fibres which now supply lacrimal gland instead of salivary glands.